The fingerprint pattern may be impaired permanently in cases of -
1. Eczema
2. Scalds
3. Scabies
4. Leprosy

Correct answer: 4. Leprosy

Explanation: The condition causing permanent modification of finger prints are:- leprosy, permanent skin destruction, skin grafting, radiation exposure and electric burn.